All of these are antigen presenting cells (APC's) except-
1. B cells
2. T cells
3. Dendritic cells
4. Langerhans cells

Correct answer: 2. T cells

Explanation: Antigen-Presenting Cells(APCs): APCs implies to cells that present the antigenic peptide along with MHC class II to TH cells. They may be grouped into: * Professional APCs: e.g. 1.Macrophages, 2.Dendritic cells (Langerhans cells(LC) are members of the dendritic cells family, residing in the basal and suprabasal layers of the epidermis) 3.B-cells * Nonprofessional APCs: e.g. Fibroblasts (skin), Thymic epithelial cells, Pancreatic beta cells, Vascular endothelial cells, Glial cells (brain) and Thyroid epithelial cells.